Glucose: sodium ratio in ORS is -
1. 1:01
2. 3:01
3. 7:01
4. 10:01

Correct answer: 1. 1:01

Explanation: Ans. is 'a' i.e., 1:1 * An appropriate rehydration solution has the correct balance of glucose and sodium, which enables the body to absorb the water passively via the sodium glucose co-transport mechanism in the small intestine.* The glucose - to - sodium ration is an important determinant in the acceptability of these solutions.* Optimal solutions have a 1:1 or a 2:1 glucose: sodium ratio.* When additional sweetener is added to the rehydration solution, the ratio of glucose to sodium is distorted and may result in osmotic diarrhea or inappropriate absorption of electrolytes.